Acrodynia is also known as:
1. Pink disease.
2. Swift disease.
3. Both of the above.
4. None.

Correct answer: 3. Both of the above.